Multiple birth are commonest among .
1. Indians
2. Mongol
3. Caucasians
4. Negroes

Correct answer: 4. Negroes

Explanation: Negroes